Routine radiological examination of a middle aged man shows "Spongy appearance" with central sunburst calcification. This is seen in:
1. Pancreatic adenocarcinoma
2. Mucinous cystadenocarcinoma
3. Somatostatinoma
4. Serous cystadenoma

Correct answer: 4. Serous cystadenoma

Explanation: Serous cystadenoma is a rare solitary, benign cystic neoplasm of the pancreas. It consists of multiple small locules lined by cuboidal epithelium, the cells of which contain abundant glycogen (also called microcystic, serous, and glycogen-rich cystadenoma). Radiological appearance of serous cystadenoma of pancreas shows characteristic central sunburst calcificationwhich is pathognomonic. Ref: The Pancreas: An Integrated Textbook of Basic Science, Medicine, and Surgery edited by Hans-Gunther Beger, Markus Buchler, Richard Kozarek, Markus Lerch, John Neoptolemos, Andrew Warshaw, David Whitcomb, Keiko Shiratori, 2009, Page 933.